Who coined the term "Dementia praecox"?
1. Freud
2. Bleuler
3. Kraepelin
4. Schineider

Correct answer: 3. Kraepelin

Explanation: The term dementia praecox was coined by Emil Kraepelin in 1899, by unifying disorders such as hebephrenia, catatonia, and paranoia. Kraepelin's classification was based on the prognosis of these disorders.